Which of the following laboratory assays can be used to detect the number and types of immune cells in the peripheral blood?
1. Immunofixation electrophoresis
2. Immunoblot
3. EIA
4. Flow cytometry

Correct answer: 4. Flow cytometry

Explanation: Flow cytometry is a laser-based method used for the analysis of cells and selected cell components. One of the most popular applications of flow cytometry is immunophenotyping of cell populations.Using this method, one can identify CD4-positive cells, CD8-positive cells, B cells, macrophages, and cells expressing a variety of cytokinesJawetz 27e pg: 148